Mechanism of action of sodium nitrite in cyanide poisoning:
1. Produces methemoglobinemia
2. Increased blood flow to liver
3. Increased blood flow to heart
4. Increased blood flow to kidney

Correct answer: 1. Produces methemoglobinemia

Explanation: Ans. (A) Produces methemoglobinemia(Ref: KDT 8th/e p591)*Sodium nitroprusside contains one iron molecule coordinated to five cyanide molecules and one molecule of nitric oxide. Prolonged use of sodium nitroprusside may result in cyanide poisoning.*Detoxification occurs when cyanide and methemoglobin combine to form cyanomethemoglobin. Amyl nitrite or sodium nitrite enhance the oxidation of hemoglobin to methemoglobin, ensuring a reliable mechanism of detoxification.